Which of the following is an example of Type III hypersensitivity reaction
1. Pemphigus vulgaris
2. Myasthenia gravis
3. Pernicious anemia
4. Arthus reaction

Correct answer: 4. Arthus reaction

Explanation: Both serum sickness and arthus reaction are examples of Type III HSR.